Winging of the scapula is seen in injury to which nerve?
1. Long thoracic nerve of Bell
2. Ulnar nerve
3. Lower subscapular nerve
4. Thoracodorsal nerve

Correct answer: 1. Long thoracic nerve of Bell

Explanation: Ans. is 'a' i.e., Long thoracic nerve of Bell * Winging of scapula is caused most commonly by serratus anterior palsy. This is typically caused by damage to long thoracic nerve (nerve to serratus anterior).